All of the following are required more during lactation as compared to pregnancy, except ?
1. Iron
2. Vitamin A
3. Niacin
4. Energy

Correct answer: 1. Iron

Explanation: Ans. is 'a' i.e., Iron Required more during lactation as compared to pregnancy : Energy, Vitamin A, thiamin, riboflavin, Vitamin C, niacin, and Vitamin B12. Required more during pregnancy : Iron, protein, and folate. Same requirment in pregnancy and lactation : Fat, calcium, zinc, magnesium, and vitamin B6.